The most important action of Secretin is to
1. neutralize the acid from the stomach
2. increase secretion of bicarbonates by pancreas
3. decrease gastric secretion
4. cause contraction of pyloric sphincter

Correct answer: 2. increase secretion of bicarbonates by pancreas

Explanation: Main Action of Secretin:
Secretin increases the secretion of bicarbonate by the duct cells of the pancreas and biliary tract. It thus causes the secretion of a watery, alkaline pancreatic juice (with high content of bicarbonate). Its action on pancreatic duct cells is mediated via cAMP.
Secretin causes alkaline pancreatic juice to flood into the duodenum, neutralizing the acid from the stomach and thus inhibiting further secretion of the hormone - feedback control.
Other actions:

Inhibits gastric juice secretion.
Inhibits gastric motility.
Causes contraction of pyloric sphincter.
Augments the potency of action of cholecystokinin on pancreatic secretion.